Half life of Technetium is
1. 6 hours
2. 12 hours
3. 24 hours
4. 26 hours

Correct answer: 1. 6 hours

Explanation: A i.e. 6 hours Half life (tin) of radium (Ra226)is 1602-1626 years (longest)Q; Cesium (137Cs) is 30 yearsQ; Cobalt (60Co) is 5.2 yearsQ; iridium (1921r)is 74.5 daysQ; Iodine (P31)is 8 daysQ; 1123 is 13 hoursQ; technitium (Tc99) is 6 hoursQ; and 1132 is 2.3 hoursQ.